Hepatitis A vaccine scheudule - True is -
1. Recomended at age of 12 months
2. 2 dose of killed vaccine 6 months apart
3. 1 dose of live vaccine
4. All are true

Correct answer: 4. All are true

Explanation: Ans. is 'd' i.e., All are true Hepatitis A (HepA) vaccineso Routine vaccination:o Minimum age: 12 monthso Killed HepA vaccine! available in India): Start the 2-dose HepA vaccine series for children aged 12 through 23 months; separate the 2 doses by 6 months.o Live attenuated H2-strain Hepatitis A vaccine: Single dose starting at 12 months and through 23 months of age